Lift of test is done to assess the function of
1. Infraspinatus
2. Supraspinatus
3. Teres major
4. Subsacapularis

Correct answer: 4. Subsacapularis

Explanation: Refer Campbell's 13th p 2303 The test described in the question is lift off the test which is a test for subsacapularis muscle